Epornithic is outbreak of disease among?
1. Animal
2. Birds
3. Reptiles
4. Human

Correct answer: 2. Birds